A 28 years female G2P1 presents to antenatal clinic at 24 weeks for routine check up. USG shows a normal for gestational age fetus at 24 weeks of gestation in frank breech position, with no other abnormalities. What is the most appropriate next step in mgt?
1. Glucose challenge test with 50 gm of glucose
2. Culture for Neisseria gonorrhoeae and Chlamydia trachomatis (normally done at initial visit and in certain high-risk GRPs at 32-36 weeks along with GRP B streptococcal screening)
3. ECV
4. Immediate LSCS

Correct answer: 1. Glucose challenge test with 50 gm of glucose

Explanation: Ans. is a, i.e. Glucose challenge test with 50 gm of glucoseRef. Read belowPoints worthnoting here are:Patient is presenting to antenatal clinic at 24 weeks for routine check up and a coincidental finding on USG is fetus in frank breech position, with no other abnormalities.Now friends at 24 weeks, breech should not worry you as most of the times it spontaneously rotates and becomes cephalic by 32 weeks of pregnancy. Thus options 'c' i.e. ECV and 'd' i.e. immediate LSCS and 'e' i.e. immediate induction and vaginal delivery are ruled out.Culture for Neisseria gonorrhoeae and Chlamydia trachomatis--It is normally done at initial visit and in certain high risk groups at 32-36 weeks along with group B streptococcal screening, so it is also ruled out.24 weeks gestational age is the correct time for screening for gestational diabetes therefore we will do glucose challenge test with 50 gm of glucose.Friends, mentioning about breech presentation was just given to confuse you, actually examiner wants to know whether you know the correct time for different screening tests or not.